MHC class 1 proteins are not present on
1. Platelets
2. RBC
3. T-cells
4. Macrophage

Correct answer: 2. RBC

Explanation: MHC class 1 proteins are present on all nucleated cells and platelets.